Which of the following full thickness flap is contraindicated for endodontic surgeries:
1. Triangular flap.
2. Rectangular flap.
3. Trapezoidal flap.
4. Envelope flap.

Correct answer: 3. Trapezoidal flap.

Explanation: As collagen fibers and blood vessels run parallel to the root, In trapezoidal flap more number if collagen fibres and blood vessels are cut in turn it delays healing.